All of the following statements about neuroiuuscular blockage produced by succinyl choline are true Except-
1. No fade on train of four stimulation
2. Fade on tetanic stimulation
3. No post tetanic facilitation
4. Train of four ratio > 0.4

Correct answer: 2. Fade on tetanic stimulation

Explanation: Succinylcholine is the depolarising muscle relaxant.Depolarising neuromuscular blockage is characterized by no fade on train of four or tetanic stimulation, no post tetanic facilitation and a high train of four ratio is >0.7 (>0.4). Fade on tetanic stimulation or train of four is the characteristic feature of non-depolarising blockage . ref:Miller 7th/e p. 867